True about deafness due to serous otitis media is all except -
1. Speech defects
2. Profound loss of hearing
3. Type B tympanogram on impedence audiometry
4. Associated with earache

Correct answer: 2. Profound loss of hearing

Explanation: Ans. is 'b' i.e., Profound loss of hearing Symptoms of Serous otitis mediaa) Hearing loss: This is the presenting and sometimes the only symptom. It is insidious in onset and rarely exceeds 40 dB. Deafness may pass unnoticed by the parents and may be accidentally discovered during audiometric screening tests.b) Delayed and defective speech: Because of hearing loss, development of speech is delayed or defective.c) Mild earaches: There may be history of upper respiratory tract infections with mild earaches.